Bowel can get strangulated in all of the following space, EXCEPT:
1. Rectouterine pouch
2. Ileocolic recess
3. Paraduodenal recess
4. Omental bursa

Correct answer: 1. Rectouterine pouch

Explanation: Omental bursa, paraduodenal recess and ileocolic recess are peritoneal recesses. Peritoneal recesses These are small pockets of the peritoneal cavity enclosed by small, inconstant folds of peritoneum. These are best observed in fetuses and are mostly obliterated in adults. Sometimes they persists to form potential sites for internal hernias and strangulation. These are: Lesser or omental bursa Duodenal recesses: includes superior duodenal recess, inferior duodenal recess, paraduodenal recess, retroduodenal recess, Duodenojejunal recess and mesenterico-parietal fossa (of waldeyer) Caecal fossa: Superior ileocaecal (or ileocolic) recess, Inferior ileocaecal (or ileocolic) recess and retrocaecal recess. Intersigmoid recess Ref: BDC Vol II, 3/e, Page 204.